Postmortem finding in carbon monoxide poisoning is:
1. Cherry red blood
2. Intense cyanosis
3. Excessive salivation
4. Pin point pupil

Correct answer: 1. Cherry red blood

Explanation: A i.e. Cherry red cyanosis